The upper limit of urinary mercury level attributed to extensive amalgam filling is:
1. 1 microgm/L
2. 2 microgm/L
3. 3 microgm/L
4. 4 microgm/L

Correct answer: 4. 4 microgm/L